True about measles is/are  a) Incubation period (I.P.) is 10-12 days  b) Confunctivitis common  c) Rash starts on abdomen  d) Koplik spots are seen on fundus examination
1. ab
2. bc
3. cd
4. bd

Correct answer: 1. ab